The most important single function of World Health Organization is?
1. Prevention and control of specific diseases
2. Development of comprehensive health services
3. Health literature & Information
4. Biomedical research

Correct answer: 2. Development of comprehensive health services

Explanation: WHO : Established in 1945. Constitution came into force on 7th April 1948. Hence, 7th April is WORLD HEALTH DAY. Head quarters is located in GENEVA. WHD 2018,2019 Theme is Universal health coverage. WHO's most important single function is to promote and support national health policy development and the development of comprehensive national health programmes. Other Works of WHO - Prevention and control of specific diseases, Family health, Environment health, Health statistics, Health literature & Information, Biomedical research, Cooperation with other organizations.